True about chest X-ray is all except:
1. Left hilum is higher
2. Left dome is higher
3. All fissures are clearly seen on lateral film
4. None

Correct answer: 2. Left dome is higher

Explanation: B i.e. Left dome is higher Right dome of diaphragm is higher than the leftQ. This is due to the heart depressing the left side & not to the liver pushing up the . hemidiaphragm. Left hilum is higher than rightQ. Pulmonary arteries & upper lobe veins mainly contribute to hilar shadows. All fissures are seen clearly on lateral filmQ.